Carcinoid of heart presents as?
1. Aortic stenosis
2. Tricuspid regurgitation
3. Mitral stenosis
4. Aortic regurgitation

Correct answer: 2. Tricuspid regurgitation

Explanation: Tricuspid valve disease (especially regurgitation) was most prevalent. Patients with carcinoid heart disease typically present with symptoms of right heart failure (hepatomegaly, edema, ascites, fatigue and low cardiac output). Ref Davidson 23rd edition pg 455